All of the following are fluent aphasia's except
1. Anomic aphasia
2. Wernicke's aphasia
3. Conduction aphasia
4. Broca's aphasia

Correct answer: 4. Broca's aphasia

Explanation: Ans. is 'd' i.e., Broca's aphasia Aphasia Non-Fluent Aphasias Fluent Aphasias Global Anomie Broca'so Wernicke 's Mixed Transcortical Conduction Transcortical Motor Transcortical Sensory